Treatment of whooping cough is -
1. Rifampicin
2. Tetracycline
3. Erythromycin
4. Ampicillin

Correct answer: 3. Erythromycin

Explanation: Ans. is 'c' i.e., Erythromycin